Which of the following is used in the treatment of well differentiated thyroid cancer?
1. 32 P
2. 131 I
3. 99mTc
4. 131I-MIBG

Correct answer: 2. 131 I

Explanation: I 131 is used in the treatment of well differentiated thyroid cancer and hyperthyroidism. I 131 has a half life of 8 days and emits beta particles as well as gamma rays. Radiation dose to thyroid is mainly due to the emitted beta particles (90%) rather than gamma radiation. Ref: Oncology for Health-Care Professionals By V. Pervan, Page 262; Radiation in Medicine: A Need for Regulatory Reform By U.S. Nuclear Regulatory Commission, Page 74